The section which describes the sentences that can be passed by the magistrates is
1. 26 Cr P C
2. 27 Cr P C
3. 28 Cr P C
4. 29 Cr P C

Correct answer: 4. 29 Cr P C

Explanation: Sec 29 Cr P C: Sentences which Magistrates may pass Chief Judicial Magistrate - Not exceeding 7 years imprisonment. First class Magistrate - Not exceeding 3 years imprisonment, or fine not exceeding 10,000 rupees. Second Class Magistrate -Not exceeding 1 year imprisonment, or fine not exceeding 5000 rupees.